Amphibolic cycle is ?
1. Citric acid cycle
2. Glycolysis
3. Protein synthesis
4. Lipolysis

Correct answer: 1. Citric acid cycle

Explanation: Ans. is 'a' i.e., Citric acid cycleMetabolic pathways fall into three categories :?Anabolic pathways:- Involved in synthesis of larger and more complex compounds from smaller precursors, e.g. synthesis of protein from amino acids, triglyceride synthesis, cholesterol synthesis, etc.Catabolic pathway:- Involved in the breakdown of larger molecules, commonly involving oxidative reaction. They are exothermic reactions producing reducing equivalents and mainly the ETC, ATP. Example are glycolysis, 13-oxidation of fatty acid etc.Amphibolic pathway:- occur at the "crossroads" of metabolism, acting as links between the anabolic and catabolic pathways, eg. the citric acid cycle.